A 56 year old female presented with breast carcinoma and she was prescribed herceptin (trastuzumab). Which of the following statements regarding this drug is true ?
1. It is an antibody produced entirely from mouse containing no human component.
2. It is a monoclonal antibody produced by injecting her2 antigen.
3. It is a polyclonal antibody
4. It is a monoclonal antibody containing only human component

Correct answer: 2. It is a monoclonal antibody produced by injecting her2 antigen.